Rapid antigen test for Leishmania uses which antigen -
1. HRP-1
2. HRP-2
3. rk-39
4. p-24

Correct answer: 3. rk-39

Explanation: Ans. is 'c' i.e., rk-39 "The rk-39 rapid immunochromatographic test (ICT) in now being widely used in the diagnosis of visceral leishmaniasis using serum".Laboratory diagnosis of Kala-azar (visceral leishmaniasis)* The demonstration of parasite LD bodies in the aspirates of the spleen, liver, bone marrow or lymph node is only way to confirm visceral leishmaniasis.* Hematological findings : | ESR, anaemia, reversed albumin-globulin ratio & leucopenia.* Aldehyde test of Napier is a simple test widely used in India for the diagnosis of Kala-azar.* Serological test: Direct agglutination test, rk 39 dipstick test, ELISA & Indirect fluorescent antibody test.* Leishmanin test: This test is based on skin reaction and represent delayed hypersensitivity.